'Hand and Foot' syndrome can be caused by :
1. Cisplatin
2. Vincristine
3. Capecitabine
4. Mitomycin-C

Correct answer: 3. Capecitabine

Explanation: 5-FU, capecitabine and liposomal doxorubicin can cause hand and foot syndrome. Generally, this disease affects infants and children. Adults with immunodeficiency can also be affected.